MC cause of intermittent stridor in a 10 days old child is :
1. Laryngomalacia
2. Foreign body
3. Vocal nodule
4. Hypertrophy of turbinate

Correct answer: 1. Laryngomalacia

Explanation: Ans. is 'a' i.e. Laryngomalacia Of the given options ;Vocal nodules and hypertrophy of turbinates do not cause stridor.Foreign body cause stridor in children and adults.Only Laryngomalacia is the congenital cause of stridor.Laryngomalacia:It is the most common congenital abnormality of the Larynx.It is characterised by excessive flaccidity of the supraglottic larynx which is sucked in during inspiration producing stridor and sometimes cyanosis.Stridor increases on crying but is relieved on placing the child in prone positionThis condition manifests at birth or soon after, and usually disappears by 2 yrs. of ageTreatment is mostly conservative*. Tracheostomy may be required for some cases of severe respiratory obstruction.